The cause of oedema in Nephritic syndrome is
1. Decreased in plasma protein concentration
2. Increased in plasma protein concentration
3. Reduced plasma osmotic pressure
4. Sodium and water retension

Correct answer: 4. Sodium and water retension

Explanation: (Sodium and water retension) (80, 522 - R) (100, 683 - HM) (554- Basic pathology 8th)Patho Physiologic categories of EDEMAIncreased Hydrostatic pressureReduced plasma Osmotic pressure(Hypo proteinemia)Increased venous return* CHF* Constrictive pericarditis* Ascites (liver cirrhosis)* Venous obstruction or compression* Thrombosis* External pressure (e.g. mass)* Lower extremity inactivity with prolong dependancy* Arterioler dilation- Heat- Neuro humoral dysregulation- Protein losing glomerulopathies (Nephroticsyndrome)- Liver cirrhoses (ascitis)- Malnutrition- Protein losing gastro enteropathySODIUM RETENSION* Excessive salt intake with renal insufficiency* Increased tubular reabsorption of sodium- Renal hypoperfusion- Increased renin - angio tension aldosterone secretion* Reduced plasma osmotic pressure can result from excessive loss or reduced synthesis of albumin, the serum protein most responsible for maintaining colloid osmotic pressure. An important cause of albumin loss is the NEPHROTIC SYNDROME characterized by a leak glomerular capillary wall and generalized edema* Nephritic syndrome - oedema is due to excessive reabsorption of sodium and water in the renal tubules via renin angiotensin - aldosterone mechanism